Anesthesia of choice for induction in day care surgery is?
1. Propofol
2. Ketamine
3. Halothane
4. Pancuronium

Correct answer: 1. Propofol

Explanation: ANSWER: (A) PropofolREF: Morgan's anesthesia 3rd ed, p. 173, 884Day care/OPD anesthesiaInduction agent of choice: PropofolMuscle relaxant: Mivacurium, succhinylcholineInhalation agents: sevoflurane, desfluraneTIVA (total Intravenous anesthesia): Propofol, remi/al/sufentanilSwitch technique:Induction by propofol, maintainence with sevo/iso flurane, Rapid emergence with Propofol